All the following hormones are secreted by adrenal cortex except:
1. Estriol
2. Cortisol
3. Corticosterone
4. Aldosterone

Correct answer: 1. Estriol